Cardiac motion is visible with trans vaginal imaging  when the embryo length has reached
1. 5 mm
2. 10 mm
3. 15 mm
4. 20 mm

Correct answer: 1. 5 mm

Explanation: Cardiac motion is visible when embryo reaches length of 5mm.